In alcoholic liver disease the intermediate filaments increased is:
1. Lamin
2. Keratin
3. Vimentin
4. All

Correct answer: 2. Keratin

Explanation: In case of alcoholism keratin in epithelial cells form mallory dent bodies They are intermediate filaments Ref:Guyton and Hall textbook of medical physiology 12th edition,page number:8,9,14